All are components of basement membrane except -
1. Nidogen
2. Laminin
3. Entactin
4. Rhodopsin

Correct answer: 4. Rhodopsin

Explanation: fibronectin -a major component of the interstitial ECM laminin -a major constituent of basement membrane The GBM consists of collagen (mostly type IV), laminin, fibronectin, entactin(nidogen), and several other glycoproteins. rhodopsin is one of the visual pigment in the eye, present in rods, helps in dim light vision ref robbins pathology 9th ed page 24, 200